Mutation in COL4A5 chain the diagnosis ?
1. Alport's syndrome
2. Good pasture's syndrome
3. Hereditary Non-polyposis colon cancer
4. Keroderma pigmentosum

Correct answer: 1. Alport's syndrome

Explanation: Ans. is 'a' i.e., Alport's syndromeo Manifestations of Alport's syndrome are due to abnormal a3 (COL4A3), a4 (COL4A4), or a5 (COL4A5). o This is due to mutations of :i) COL4A5 in classic X-linked formii) COL4A.3 or COL4A4 in autosomal forms.